True about lamotrigene ?
1. Decreased efficacy in depression
2. First choice in absence seizure
3. t1/2 is 24 hrs
4. Not metabolised in liver

Correct answer: 3. t1/2 is 24 hrs

Explanation: Ans. is 'c' i.e., t1/2 is 24 hrs